Leading cause of ACTH independent Cushing syndrome is?
1. Adrenocortical carcinoma
2. Macro-nodular adrenal hyperplasia
3. Micro-nodular adrenal hyperplasia
4. Adrenocortical adenoma

Correct answer: 4. Adrenocortical adenoma

Explanation: ACTH independent Cushing Syndrome : constitutes 10% of total cases of Cushing syndrome. The causes of ACTH independent Cushing syndrome: Adrenocortical adenoma (MC) Adrenocortical carcinoma Macro-nodular adrenal hyperplasia (<1%) The most common cause( MCC) of ACTH dependant Cushing syndrome is Pituitary corticotroph adenoma.